A 30 years old known alcoholic patient presented to EMOPD with a complaint of severe pain in the abdomen. On examination, rigid abdomen is seen. Patient also had multiple episodes of pain in the abdomen for the last 4-5 years and lost 5 kg of weight in the past 6 months. Serum lipase and amylase level is normal. CECT abdomen was perfomed . What is the most likely diagnosis?
1. Acute pancreatitis
2. Chronic pancreatitis
3. Adenocarcinoma of pancreas
4. Periampullary carcinoma

Correct answer: 2. Chronic pancreatitis

Explanation: - CT shows atrophy of the pancreas with multiple calcific foci within it. Chronic pancreatitis: Has calcifications On MRCP / ERCP - Beaded / toures appearance of the pancreatic duct - String of Pearls/string of beads appearance - Chain of lake appearance On Barium - Reverse 3 sign of Frostburg (also seen in Ca Head of Pancreas) Figure: Chain of lakes appearance on MRCP image